Which is produced by Phaeochromocytoma in M.E.N 2A Sipple syndrome?
1. Epinephrine
2. Norepinephrine
3. Dopamine
4. 5- H.I.

Correct answer: 1. Epinephrine

Explanation: Ans. (a) EpinephrineRef: Robbin's pathology 9th ed. /1134-36* Phaeochromocytoma < 5 cm and associated with MEN 2A can produce epinephrine due to sufficient methy transferase enzyme.* However if phaeochromocytoma > 5 cm and in extradrenal phaeochromocytoma due to absence of methyl trans- ferase enzyme, only nor-epinephrine is produced.